Gelle's test is for:
1. Otosclerosis
2. NHL
3. Sensorineural deafness
4. None

Correct answer: 1. Otosclerosis

Explanation: (a) Otosclerosis(Ref. Dhingra, 6th ed., 22)Gelle's is negative in otosclerosis, i.e. change in the pressure of EAC does not produce any change in hearing as Ossicular chain is already fixed.